Acoustic schwannoma most common site is -
1. CP angle
2. Fossa of Rosenmuller
3. Retropharyngeal space
4. None

Correct answer: 1. CP angle